String sign is seen in:
1. Crohn's disease
2. TB of the ileocaecal region
3. Idiopathic hypertrophic pyloric stenosis
4. All of the above

Correct answer: 4. All of the above

Explanation: Ans. All of the above